Personality chages is seen in lesions of-
1. Temporal lobe lesions
2. Parietal lobe
3. Frontal lobe
4. Occipital lobe

Correct answer: 3. Frontal lobe